Which of the following methods of water fluoridation not depend on electric assistance for water flow
1. Venturi fluoridator system
2. Solution feeder
3. Dry feeder
4. Saturator

Correct answer: 1. Venturi fluoridator system